According to American Psychiatric Association, criteria for prolonged seizure after ECT, if the seizure lasts more than
1. 140 sec
2. 150 sec
3. 160 sec
4. 180 sec

Correct answer: 4. 180 sec

Explanation: Answer- D. 180 secProlonged seizure is defined as one that lasts for more than 3 minutes""Duration of more than 3 minutes is the criterion for prolonged seizures according to the American psychiatric association (1990)"